Wallace's rule is better known as?
1. Rule of 10% in pheochromocytoma
2. Rule of 6 in burns assessment
3. Rule of 9 in burns assessment
4. None

Correct answer: 3. Rule of 9 in burns assessment

Explanation: ANSWER: (C) Rule of 9 in burn assessment REF: Schwartz's 9th ed chapter 8 table 8-2, Bailey & Love 25th ed page 382, Practical plastic surgery by Zol B. Kryger, Mark Sisco page 155